A 40 yr old male patient presented with mild abdominal pain, mild constipation with a feeling of incomplete evacuation and mucus in stools for the past 4 years. On examination, tenderness is present in left iliac fossa. The most likely diagnosis is:
1. Ulcerative colitis
2. Diverticular disease of the colon
3. Irritable bowel syndrome
4. Ca colon

Correct answer: 3. Irritable bowel syndrome